Best way to differentiate Entero hemorrhagic E.coli from other E.coli is
1. Macconkey agar
2. Blood agar
3. Sorbitol macconkey agar
4. Nitrate reduction test

Correct answer: 3. Sorbitol macconkey agar

Explanation: EHEC does not ferments sorbitol thus Sorbitol Macconkey agar is used to differeniate EHEC from other E.coli.